What is the pH of set MTA?
1. 12.5
2. 14
3. 10
4. 8.5

Correct answer: 1. 12.5